Which of these is not a sign of increased ICT –
1. Erosion of dorsum sella
2. Sutural diastasis
3. Ballooning of sella
4. Copper-beaten appearance

Correct answer: 3. Ballooning of sella

Explanation: Ballooning of sella is seen in intrasellar neoplasm or empty sella syndrome.